Active component of a white oleander -
1. Nerine
2. Nicotine
3. Abrine
4. Pilocarpine

Correct answer: 1. Nerine

Explanation: NERIUM ODORUM / WHITE OLEANDER contains-oleadrin and nerin resembles digitalis like action REF;THE SYNOPSIS OF FORENSIC MEDICINE:KS NARAYANA REDDY;28th EDITION;PAGE NO355